A 30 year old lady is to undergo surgery under intravenous regional anesthesia for her left 'trigger finger'. Which one of the following should not be used for patient ?
1. Lignocaine
2. Bupivacaine
3. Prilocaine
4. Lignocaine + ketorolac

Correct answer: 2. Bupivacaine

Explanation: Bupivacaine is contraindicated for intravenous regional anesthesia (Bier's block).